Not seen in the inflammatory stage of wound healing
1. Angiogenesis
2. Chemotaxis
3. Increased vessel permeability
4. Released of cytokines and chemokines

Correct answer: 1. Angiogenesis

Explanation: Ans. (a) Angiogenesis(Ref: Robbins 9th/pg 103; 8th/pg 101)Three phases of wound healing:Inflammation (early & late)- option b, c, dGranulation tissue formation & re-epithelialization- option aWound contraction, ECM deposition & remodeling